In superfecundation which of the following is seen:
1. Fertilization of 2 ova released at same time, by sperms released at intercourse on 2 different occasions
2. Fertilization of 2 ova released at same time by sperms released at single intercourse
3. Both of the above
4. None of the above

Correct answer: 1. Fertilization of 2 ova released at same time, by sperms released at intercourse on 2 different occasions

Explanation: Superfecundation is the fertilisation of two different ova released in the same cycle, by seperate acts of coitus within a short period of time. Reference:DC Dutta's Textbook of obstetrics,8th edition,page no:235.